Professional secrecy can be divulged :
1. If the doctor feels so
2. On demand by a court
3. Both
4. None

Correct answer: 2. On demand by a court

Explanation: B i.e. On demand of court